ELEMENTS of Primary health care includes all except
1. Immunization
2. Family planning
3. Nutrition
4. Primary school education

Correct answer: 4. Primary school education

Explanation: 8 essential ELEMENTS/ components of primary health care (as outline by the 'Alma - Ata decleration, 1978): (mnemonic ELEMENTS) E - Education concerning health problem and their control L - Locally endemic disease prevention and control E - Essential drugs M - Maternal and child health care including family planning E - EPI (Immunization) against vaccine preventable Disease N - Nutrition and promoting proper food supply T - Treatment of common disease and injuries S - Safe water supply and sanitation